Best view to seen pneumoperitoneum is
1. Chest X-ray in erect position
2. X-ray abdomen
3. USG abdomen
4. FAST

Correct answer: 1. Chest X-ray in erect position

Explanation: Best view to seen pneumoperitoneum - Chest x-ray in erect position.
If unable to stand - Left lateral decubitus View.